Main symptom of Korsakoff's psychosis is?
1. Ataxia
2. Global confusion
3. Opthalmoplegia
4. Confabulation

Correct answer: 4. Confabulation

Explanation: Korsakoff 's psychosis consists of an anterograde and retrograde amnesia. Confabulation is classically described in Korsakoff dementia, although it may be present in other dementias. Confabulation represents filling in of memory gaps with data the patient can readily recall.